A newborn suffering from perforated necrotizing enterocolitis is having very poor general condition. He is currently stabilized on ventilator. Which of the following should be done in the management of this patient?
1. Conservative treatment
2. Resection and anastomosis
3. Stabilization with membrane oxygenator and defer surgery
4. Peritoneal drainage by putting drains in the flanks

Correct answer: 4. Peritoneal drainage by putting drains in the flanks

Explanation: Management of necrotising enterocolitis (NEC): Medical treatment of NEC include Surgical interventions in NEC Cessation of feeding and Nasogastric decompression. Administration of IV fluids. Systemic broad spectrum antibiotics Evidence of perforation is an indication for laparotomy and resection of necrotic bowel. Peritoneal drainage in unstable patients From this discussion, we choose the answer to be peritoneal drainage because; Patients is on ventilator (and unstable)